Total score in Mini Mental Status Examination (MMSE) is ?
1. 25
2. 30
3. 32
4. 35

Correct answer: 2. 30

Explanation: Ans. is 'b' i.e., 30